Vertical crest in the fundus of the internal auditory canal is k/a -
1. Bill's bar
2. Ponticulus
3. Cog
4. Falciform crest

Correct answer: 1. Bill's bar

Explanation: The internal acoustic canal is divided by transverse crest (or Falciform crest) into a superior and inferior part. The superior part is divided by vertical crest or Bill's bar into anterior and posterior parts.